Manifestations of acute dissection include all of the following except
1. Pericardial tamponade
2. AR
3. MR
4. AMI

Correct answer: 3. MR

Explanation: Ref Harrison 19 th ed pg 1640 Hemopericardium and cardiac tamponade may complicate a type A lesion with retrograde dissection. Acute aortic regurgitation is animpoant and common (>50%) complication of proximal dissection. An electrocardiogram that shows no evidence of myocardial ischemia is helpful in distinguishing aortic dissection from myocardial infarction